Low QRS voltage on ECG indicates ?
1. Pulmonary embolism
2. Pericardial effusion
3. Cor pulmonale
4. Infective endocarditis

Correct answer: 2. Pericardial effusion

Explanation: Ans. is 'b' i.e., Pericardial effusion Causes of low voltage QRS complexes Adrenal insufficiency Anasarca Artifactual or spurious, eg, unrecognized standardization of ECG at one-half the usual gain (i.e., 5 mm/mv) Cardiac infiltration or replacement (e.g., amyloidosis, tumor) Cardiac transplantation, especially with acute or chronic rejection Cardiomyopathy, idiopathic or secondary Chronic obstructive pulmonary disease Constrictive pericarditis Hypothyroidism, usually with sinus bradycardia Left pneumothorax (mid-left chest leads) Myocardial infarction, extensive Myocarditis, acute or chronic Normal varian Obesity Pericardial effusion Pericardial tamponade, usually with sinus tachycardia Pleural effusions